QRS complex indicates
1. Atrial repolarization
2. Atrial depolarization
3. Ventricular repolarization
4. Ventricular depolarization

Correct answer: 4. Ventricular depolarization